What is Hinge fracture?
1. Fracture of elbow
2. Orbital fracture
3. Sutural diastasis
4. Basilas fracture

Correct answer: 4. Basilas fracture

Explanation: Hinge fracture also called motorcyclist fracture, fracture lines passes across the middle cranial fossa, separating the skull base into 2 halves.